Which of the following statements are true about estimation of prothrombin time (PT)?
1. Immediate refrigeration to preserve factor viability
2. Platelet-rich plasma is essential
3. Done preferably within 2 hours of collection
4. Utilises Kaolin

Correct answer: 3. Done preferably within 2 hours of collection

Explanation: In coagulation studies: Most routine coagulation investigations are performed on platelet-poor plasma (PPP). The sample should be kept at room temperature if it is to be used for PT tests, lupus anticoagulant (LAC) or factor VII assays and it should be kept at 4 degC for other assays. The testing should preferably be completed within 2 h of collection. Coagulation studies are of 2 types: PT --> Thromboplastin is used aPTT --> Kaolin/silica is used Anticoagulant of choice for this study is 3.2 % trisodium citrate. Ratio of blood sample to anti-coagulant is 9:1.